Beta-glucosidase is defective in which disease?
1. Gaucher's disease
2. Tay-Sachs disease
3. Galactosaemia
4. DM

Correct answer: 1. Gaucher's disease

Explanation: Ans. a (Gaucher's disease). (Ref: Harper, Biochemistry, 25th ed., 267)Sphingolipidoses DiseaseInheritanceEnzymeCNS involvementVisceral involvement1FabryXLRAlpha-galactosidase-+2Krabbe'sARBeta-galactosidase+(bilateral thalami)+3FarberARCeramidase+/--4GaucherARBeta-Glucosidase+/-+5MetachromaticleukodystrophyARAryl sulfatase+ (Diffuse White matter)-6Niemann-PickARSphigomyelinase++7Tay-SachsARHexosaminidase A+-8SandhoffARHexosaminidase A, B++